An experimental drug is found to preferentially dilate autoregulatory coronary arterioles without affecting large conducting vessels. It is likely to:
1. Evoke coronary steal phenomenon
2. Mitigate classical angina but not variant angina
3. Produce tachycardia as an adverse effect
4. Useful in CHF

Correct answer: 1. Evoke coronary steal phenomenon